Which of the following indicates the medicolegal significance of cadaveric spasm?
1. Time since death
2. Manner of death
3. Temperature of the surrounding at the time of death
4. None of the above

Correct answer: 2. Manner of death

Explanation: Cadaveric spasm is continuation of state of contraction of the muscles after death in which the muscles were at the time of death. It helps to suggest the manner of death i.e whether suicide, accident or homicide. In this condition the usual period of flaccidity following death does not occur and the muscles exhibit stiffening at the moment of death. It involved only a group of muscles of the hand or limb or the whole body. This state persists until the true rigor develops. Ref: Textbook Of Forensic Medicine And Toxicology: Principles And Practice By Vij 4th edn page 121.